Commonest cause of sustained severe hypertension in children
1. Endocrine causes
2. Coarctation of aorta
3. Renal parenlchyma disease
4. Pheochromocytoma

Correct answer: 3. Renal parenlchyma disease

Explanation: The chief causes of severe sustained hypertension identified included chronic glomerulonephritis , obstructive uropathy , reflux nephropathy , thrombotic microangiopathy and renovascular disease . ref:Harrison's principles of internal medicine,ed 18,pg no